Which of the following metabolic events will not occur following 12-24 hour of fasting
1. Increase in free fatty acids
2. Increase in ketone bodies
3. Decrease in Glycogen
4. Decrease in Serum Proteins

Correct answer: 4. Decrease in Serum Proteins

Explanation: D i.e. Decrease in serum ProteinsGlycogenolysis and liver gluconeogenesis (initially by degradation of glucogenic aminoacids of muscle proteins followed by glycerol & lactate) are sources of energy in brief (1st stage) of starvation (ie 12 to 72 hours of fasting). Gluconeogenesis the main process, increases during brief fasting but decreases on prolonged fasting.- During starvation serum proteins are not utilized as a source of energyQ. Brief fasting is associated with increased proteolysis (break down) of muscle proteins (not serum proteins) thereby decreasing total muscle proteins, whereas the serum protein levels are unaltered (ie not decreased)Q. Proteolysis of muscles provide glucogenic aminoacids (alanine & glutamine increasing liver gluconeogenesis- On prolonged fasting (starvation), adipose tissue breakdown (beta-oxidation) becomes the main source of energy; thereby increasing production of ketone bodies. However it is important to note that this over produced ketone bodies are utilized mainly by brain not by muscles as the utilization of glucose by brain and utilization of ketone bodies by by-muscle decreases during prolonged starvation. In the same way, decreased gluconeogenesis in prolonged starvation is responsible for decreased muscle protein degradation and decreased production of urea.